Hyperthyroid state is characterized by:
1. Increased protein synthesis
2. Decreased glycolysis
3. Lipolysis
4. Increased cholesterol

Correct answer: 3. Lipolysis

Explanation: Ans. (c) Lipolysis(Ref: Ganong, 25th ed/p.339)Thyroid hormones promote lipolysis and enhance the oxidation of free fatty acids in cells. They also potentiates the action of catecholamines on lipolysisOption A--High levels of thyroid hormones are associated with increase in protein breakdownOption B--High levels of thyroid hormones increases glucose utilization by glycolysisOption D--High levels of thyroid hormones decreases cholesterol levels